Setting time of Mineral Trioxide Aggregate (MTA) is
1. 2-5 minutes
2. 5-8 minutes
3. 1 hour, 45 minutes
4. >2 to 3 hours

Correct answer: 4. >2 to 3 hours